Opioid agonist are ALE aEUR'
1. Morphine
2. Codeine
3. Ketamine
4. Methadone

Correct answer: 3. Ketamine

Explanation: Ketamine